Boxing wax is also called as:
1. Carding wax
2. Inlay wax
3. Utility wax
4. Sticky wax

Correct answer: 1. Carding wax